In prolactinoma most common symptom other than galactorrea is?
1. Bitemporal hemianopia
2. Amennorhea
3. Thyroid dysfuntion
4. Headache

Correct answer: 2. Amennorhea

Explanation: Pituitary tumors 1.Eosinophil (Acidophil) adenomas: Tumour is usually small. Rarely it causes compressive features. It secretes excess growth hormone causing acromegaly in adults and gigantism in children. 2. Chromophobe adenomas are common in females and in the age group--20-50 years. Initially, it is intrasellar and after sometime becomes suprasellar. Later, it extends intracranially often massively, causing features of intracranial space occupying lesion. It presents with myxoedema, amenorrhoea, infertility, headache, visual disturbances, bitemporal hemianopia, blindness, intracranial hypertension, epilepsy. Differential diagnosis: Meningiomas, aneurysms. CT scan, angiogram, X-ray skull are diagnostic. Treatment is surgical decompression by craniotomy through subfrontal approach or trans-sphenoidal approach. Deep external radiotherapy and steroids are also used. 3. Basophil adenomas are usually small. They secrete ACTH and presents as Cushing's disease with all its features. 4. Prolactin-secreting adenomas causes infertility, amenorrhoea and galactorrhoea. Ref: SRB's Manual of Surgery 5th Pgno : 1105